In a given population of 1000, new cases of lung cancer is 50, old cases in the same population are 100. What is the prevalence
1. 1.50%
2. 15%
3. 150
4. 13%

Correct answer: 2. 15%